In which condition vanillylmandelic acid is excreted in urine
1. Gaucher's disease
2. Phenylketonuria
3. Pheochromocytoma
4. Hartnup's disease

Correct answer: 3. Pheochromocytoma

Explanation: In Pheochromocytoma, increased and uncontrolled synthesis of catecholamines takes place.
The breakdown product of catecholamines is vanillymandelic acid, and thats get excreted in urine.